Treatment of dacryocystitis in three months old child ?
1. Daily probing
2. Weekly probing
3. Massaging
4. Syringing

Correct answer: 3. Massaging

Explanation: Ans. is 'c' i.e., Massaging Spontaneous recanalization of obstructed nosolacrimal duct occurs during first 6-8 weeks and sometimes after 6-12 months in 90% of infants. Therefore upto 9-12 months only massage and antibiotic drops are indicated. After the age of 12 months high pressure syringing is indicated.